Ohngren's line is seen in
1. Carcinoma maxilla
2. Carcinoma ethmoid
3. Carcinoma mandible
4. Carcinoma Larynx

Correct answer: 1. Carcinoma maxilla

Explanation: A theoretic plane passing between the medial canthus of the eye and the angle of the mandible; used as an arbitrary dividing line in classifying localized tumours of the maxillary sinus; tumours above the line invade vital structures early and have a poorer prognosis, whereas those below the line have a more favourable prognosis. Growths of the maxillary sinus(carcinoma of maxillary sinus) situated above this plane(suprastructural) have a poorer prognosis than those below it(intrastructural). (Ref: Textbook of diseases of ENT, PL Dhingra, 7th edition, pg no. 233)